Commonest cause of hematogenous osteomyelitis:
1. Streptococcus
2. Staph. aureus
3. Salmonella
4. H. influenza

Correct answer: 2. Staph. aureus

Explanation: Ans. B: Staph. aureus Staphylococcus aureus is the commonest causative organism causing acute osteomyelitis Osteomyelitis: Earliest site of involvement in bone: Metaphysis Brodie's abscess: A static cavity remains in bone, without further enlargement. Blood culture are positive in 65% of cases Periosteal reaction may be the radiological sign visible (after 10 days) MC cause of acute osteomyelitis: Staph. Aureus